Which of the following statement is true regarding BMR:
1. Is not influenced by energy intake
2. Increases in response to starvation
3. May decrease up to 50% during period of starvation
4. Not responsive to change in the hormonal level

Correct answer: 3. May decrease up to 50% during period of starvation

Explanation: This is a part of survival mechanism in starvation.
Reduced energy intake reduces BMR and increased energy intake increases BMR.
BMR changes in response to hormone level. Thyroid hormone, cortisol etc increases the BMR.